A patient gets reccurent urticaria while doing exercise and on exposure to sunligh. Which of the following is most like cause –
1. Chronic Idiopathic Utricaria
2. Universal dermographism
3. Cholinergic utricaria
4. photodermatitis

Correct answer: 3. Cholinergic utricaria

Explanation: This patient develops urticaria after:-


Exercise
Exposure to sunlight → generalized heating


Both of these provoke cholinergic urticaria due to stimulation of cholinergic sympathetic fibres.